Carcinoma cervix extends upto lateral pelvic wall.The stage would be:
1. Stage I
2. Stage II
3. Stage III
4. Stage IV

Correct answer: 3. Stage III